Pinta disease is caused by
1. Treponema pallidum
2. Treponema carateum
3. Leptospira interrogans
4. None of the above

Correct answer: 2. Treponema carateum

Explanation: Pinta disease Caused by T. pallidum carateum. Age: all ages equally affected Clinicopathologic features:- 1deg stage:- Legs most commonly affected; p/w papules surrounded by red halo; enlarges over months up to 12 cm. 2deg stage:- Smaller scaly papules and psoriasiform plaques erupt ("pintids") and change in color from red - blue- brown - gray/black. 3deg stage:- Symmetric vitiligo-like lesions over bony prominences w/atrophic epidermis. Histology:- shows lichenoid interface + complete loss of melanocytes + epidermal atrophy. Ref:- Review of Dermatology by Alikhan; pg num:-301